Multiple pregnancy resulting from Fertilization of Two ova discharged from ovary at different periods Of ovulation is best termed as
1. Superfecundation
2. Superfoetation
3. Pseudocyesis
4. Atavism

Correct answer: 2. Superfoetation

Explanation: SUPERFOETATION : This means the fertilisation of a second ovum in a woman who isalready pregnant. Ovulation may occur during first trimester of pregnancy until decidua vera comes into apposition with decidua reflexa and decidual cavity gets obliterated. Fertilisation of newly released ovum may occur following coitus. SUPERFECUNDATION : It means the fertilisation oftwo ova which have been discharged from the ovary at the same period ,bY two separate acts of coitus committed at short intervals. Pseudocyesis (spurious or phantom pregnancy) Ref:- k.s.narayan reddy; pg num:- 396,397